Drug of choice for rapid cycles of bipolar disorder is
1. Valproate
2. Lithium
3. Haloperidol
4. Chlorpromazine

Correct answer: 1. Valproate

Explanation: LITHIUM is the drug of choice for EUPHORIC MANIA VALPROATE is the drug of choice for RAPID CYCLING DISORDER LAMOTRIGINE is the drug of choice for bipolar depression Valproate is the drug used mainly for rapid cyclers-more than 4 episodes of psychosis or depression in one yr Atypical antipsychotics -DOC -for acute mania Ref: Essentials of postgraduate psychiatry By JN Vyas 1st ed Pg 620